L-asparaginase is particularly used in which type of leukemia -
1. AML
2. CML
3. ALL
4. CLL

Correct answer: 3. ALL

Explanation: Ans. is 'c' i.e., ALL Treatment of ALL o Treatment of ALL is divided into 4 stages. 1. Induction (to attain remission) 2. CNS therapy (to prevent CNS spread) Intensification (Consolidation)